An 18-year-old pregnant woman receives no prenatal care, eats a diet containing mostly carbohydrates and fats, and does not take prenatal vitamins with iron. She feels increasingly tired and weak during the third trimester. The infant is born at 35 weeks' gestation and is listless during the first week of life. Laboratory studies show markedly decreased serum ferritin levels in the infant and the mother. Which of the following findings from a nutritional deficiency is most likely to be present in both the infant and the mother?
1. Dermatitis
2. Diffuse goiter
3. Microcytic anemia
4. Peripheral neuropathy

Correct answer: 3. Microcytic anemia

Explanation: Iron deficiency, which gives rise to microcytic anemia, is common in women of reproductive age because of menstrual blood loss and in children with a poor diet. During pregnancy, women have greatly increased iron needs. Low serum ferritin is indicative of iron deficiency. Dermatitis can be seen in pellagra (niacin deficiency). A goiter results from iodine deficiency, but this is a rare occurrence today because of newborn testing and widely available foods with iodine. Peripheral neuropathy is more characteristic of beriberi (thiamine deficiency) and deficiencies in riboflavin (vitamin B2 ) and pyridoxine (vitamin B6 ). Bowing of the long bones and epiphyseal widening can be seen in rickets (vitamin D deficiency). Soft tissue hemorrhages can be seen in scurvy (vitamin C deficiency).